The preservative routinely used for preserving viscera for chemical examination is:
1. Saturated solution of common salt
2. Rectified spirit
3. 10% formalin
4. 0.9% normal saline

Correct answer: 1. Saturated solution of common salt

Explanation: Ans. A. Saturated solution of common salt. (Ref. FMT by Dr KS Narayan Reddy 29th/pg. 306)PRESERVATION OF VISCERA IN CASES OF SUSPECTED POISONINGViscera should be preserved:1) If the death is suspected to be due to poisoning by the police or the dr.2) Deceased was intoxicated or used to drugs.3) Cause of death not found after autopsy.4) Death due to bums.5) Advance decomposition.6) Accidental death involving driver of a vehicle or machine operator.Preserve:1) Stomach and its contents.2) Upper part of small intestine (30 cm) and its contents.3) Liver 200-300 gm4) Kidney half each5) Blood 30 ml. Minimum 10 ml.6) Urine 30 ml.Containers:1) Glass bottle of 1 L capacity.2) Rubber inserts should not be used under caps.3) Glass container should be cleaned with sulphuric acid-chromate soln, rinsed with distilled water and dried.4) Polythylene bags may be used but not for volatiles.5) When lugs, etc are to be preserved for analysis of volatile substances, nylon bags should be used.Preservatives:1) Saturated sodium chloride soln: except in poisoning from corrosive acids except phenol, alkalis, corrosive sublimate, and aconite.2) Rectified spirit: except in suspected poisoning from alcohol, kerosene, chloroform, ether, chloral hydrate, formic acid, formaldehyde, acetic acid, phenol, phosphorous, paraldehyde.3) 10 mg/ml of Sodium or potassium fluoride & 3 mg potassium oxalate should be used for preserving blood.4) Fluoride should also be added to urine, CSF, vitrous if alcohol estimation required and also to samples of cocaine, cyanide, CO.5) Viscera should not be preserved in formaldehyde.Preservative is not necessary if:1) Viscera can be analysed within 24 hrs.2) If sample can be kept in refrigerator/ice box.3) Bone, hair, nails.4) Lungs for detecting inhaled poison.